In a patient with subclavian steel syndrome true is
1. The flow of blood in the vertebral arteries is normal
2. The BP is decreased on the ipsilateral side
3. The patients commonly present with claudication features
4. The patients commonly present with neurological features

Correct answer: 2. The BP is decreased on the ipsilateral side

Explanation: (B) The BP is decreased on the ipsilateral side # Subclavian steal syndrome. If the first part at the subclavian artery is obstructed, the vertebral artery may provide a collateral circulation into the arm by reversing its direction of flow.> This may cause periods of cerebral ischaemia.> The classic syndrome of syncopal attack and visual disturbance associated with arm exercise and a diminished blood pressure in the affected limb is rather rare.> Asymptomatic reversal of flow in the vertebral artery, recognized either by duplex scanning or angiography, is much commoner.> In symptomatic patients, percutaneous transluminal angioplasty may relieve the problem, or the situation may be corrected by endarterectomy or a bypass from the ipsilateral common carotid artery to the third part of the subclavian artery.